Wernicke's area is located in:
1. Superior temporal gyrus
2. Inferior temporal gyrus
3. Post-central gyrus
4. Angular gyrus

Correct answer: 1. Superior temporal gyrus

Explanation: Ans. (a) Superior Temporal GyrusRef: Harrison 19th ed. /177* Wernickes area is located in the posterior section of the superior temporal gyrus (STG) in the dominant cerebral hemisphere (which is the left hemisphere in about 95% of right handed individuals and 60% of left handed individuals).* Damage caused to Wernickes area results in receptive, fluent aphasia. This means that the person with aphasia will be able to fluently connect words, but sentences will lack meaning